Rare complication of measles ?
1. Diarrhoea
2. Pneumonia
3. Otitis media
4. SSPE

Correct answer: 4. SSPE

Explanation: Ans. is 'd' i.e., SSPE Subacute sclerosing panencephalitis (SSPE) is a rare complication of measles, which develops many years after the initial infection - The most common complications are : measles- associated diarrhea, pneumonia and otitis media ?